Not true in narcolepsy is-
1. Cataplexy
2. Sleep architecture normal
3. Loss of muscle tone
4. Hallucination

Correct answer: 2. Sleep architecture normal

Explanation: Ans. B. Sleep architecture normalThere is disturbed REM sleep.Cataplexy (sudden loss of muscle tone) is the most common accessory symptom.There may be hallucinations mostly hypnagogic and hypnopompic